Mitral valve vegetations do not embolise usually to
1. Brain
2. Liver
3. Spleen
4. Lungs

Correct answer: 4. Lungs

Explanation: Ans. is 'd' i.e., Lungs o It is very simple question, vegetations from left side (mitral valve) embolize to systemic vasculatures as blood of from left side of heart goes to systemic circulation (not pulmonary circulation) o On the other hand, vegetations from right side (tricuspid valve) embolize to pulmonary vasculatures.